Tbilisi phage is used for identification of-
1. Bacillus
2. Corynebacterium
3. Salmonella
4. Brucella

Correct answer: 4. Brucella

Explanation: Ans. D. Brucella.The species identification of Brucella is very complex and is based on-a. Relative proportions of 2 antigens, A and Mb. CO2 requirementc. H2 S productiond. Urease enzymee. Phage lysis (Tbilisi phage)f. Sensitivity to dyes.